Chancroid is caused by ?
1. H. Ducrei
2. N. Gonnorrhea
3. T. Pallidum
4. H. Influenza

Correct answer: 1. H. Ducrei

Explanation: ANSWER: (A) H. Ducrei REF: Roxburgh's Common Skin Diseases p. 102 Repeat in June 2010 See APPENDIX-47 below for list of "STD's" CHANCROID (SOFT SORE) This venereal infection is caused by the Gram-negative bacillus Haemophilus ducreyi. One to 5 days post-infection, a soft sloughy ulcer appears on the penis or vulva. The treatment of choice is erythromycin (500 mg 6-hourly for 14 days).